All of the following are true about bulimia except
1. Normal menstruation
2. Markedly reduced body weight
3. Binge eating
4. Body image disturbance

Correct answer: 2. Markedly reduced body weight

Explanation: (B) Markedly reduced body weight > Bulimia nervosa (BN) is an eating disorder characterized by eating binges typically followed by efforts to purge calories through self-induced vomiting, laxative and/or diuretic abuse, prolonged fasting, or excessive exercise. Fear of weight gain leads to the characteristic purging behavior, but BN is centered around the practice of binge eating.> The Diagnostic and Statistical Manual of Mental Disorders, Fourth Edition (DSM-IV), describes diagnostic criteria for BN and includes the following:> Recurrent episodes of binge eating, characterized by the following:> Eating an amount of food, in a discrete period of time, that is larger than most people would eat during a similar period of time under similar circumstances